Which of the following drugs is used in  MI ?
1. Cocaine
2. Pethidine
3. Morphine
4. Butorphanol

Correct answer: 3. Morphine